Retinal neovacularization is seen in A/E
1. Diabetic retinopathy
2. Eale's disease
3. Retinitis pigmentosa
4. Retinopathy of prematurity

Correct answer: 3. Retinitis pigmentosa

Explanation: C i.e. Retinitis pigmentosa